Sustained neutropenia is seen with?
1. Vinblastine
2. Cisplatin
3. Carmustine
4. Cyclophosphamide

Correct answer: 3. Carmustine

Explanation: Carmustine belongs to the group of alkylating agents. It interferes with the growth of cancer cells, which are eventually destroyed. Since the growth of normal body cells may also be affected by carmustine, other effects may occur. Carmustine injection is used alone or together with other medicines to treat certain type of brain tumors (e.g., glioblastoma, brainstem glioma, medulloblastoma, astrocytoma, ependymoma, and metastatic brain tumors), cancer of the lymph system (e.g., Hodgkin's disease, non-Hodgkin's lymphoma), and a certain type of cancer in the bone marrow (e.g., multiple myeloma). Marked neutropenia is frequently observed following administration of this drug REFERENCE: www.mayoclinic.org